Mesangial deposition of electron dense substance seen in?
1. IgA nephropathy
2. Membranous nephropathy
3. Minimal change disease
4. Post streptococcal glomerulonephritis

Correct answer: 1. IgA nephropathy

Explanation: Ans. is 'a' i.e., IgA nephropathyIgA Nephropathy: shows presence of electron dense deposits in the mesangium.